Umbilical artery is a branch of
1. Coeliac artery
2. Superior mesenteric artery
3. Anterior division of internal iliac artery
4. Posterior division of internal iliac artery

Correct answer: 3. Anterior division of internal iliac artery

Explanation: Anterior division of internal iliac artery

A part of Umbilical artery persists as superior vesical artery and remaining artery becomes obliterated forming medial umbilical ligament.